The maintenance of posture in a normal adult human being depends upon
1. Integrity of reflex arc.
2. Muscle power.
3. Type of muscle fibres.
4. Joint movements in physiological range

Correct answer: 1. Integrity of reflex arc.

Explanation: (A) Integrity of reflex arc.